True about lens epithelium is
1. Contains polygonal cells
2. Is deposited as lens fibres
3. Remains dehydrated
4. None of the above

Correct answer: 2. Is deposited as lens fibres

Explanation: Lens consists of Lens capsule Anterior epithelium . It is a single layer of cuboidal cells which lies deep to the anterior capsule. In the equatorial region these cells become columnar, are actively dividing and elongating to form new lens fibres throughout the life. There is no posterior epithelium, as these cells are used up in filling the central cavity of lens vesicle during development of the lens. Lens fibres. The epithelial cells elongate to form lens fibres. Image : A simplified cell population model. The lens epithelium consists of a single layer of lens epithelial cells (LECs) located in the anterior subcapsular region. The central zone (CZ), germinative zone (GZ), transitional zone (TZ) and meridional rows (MR) compose the lens epithelium. LECs in the GZ around the equator divide, migrate posteriorly, and differentiate into elongated lens fiber cells (LFCs). Newly formed LFCs surround existing cortical LFCs and become more internalized, culminating in production of highly ordered, tightly packed mature nuclear LFCs. These processes are simplified here, where cell migration is assumed to occur once a year. Reference: A.K.Khurana; 6th edition; Page no: 180